A 30 year old manic patient was prescribed Haloperidol one week back. For the last two days he has become restless and kept pacing in the room for a day. On examinarion he was found to have tremors of hand. He is most likely suffering from
1. Anhedonia
2. Dystonia
3. Restless leg syndrome
4. Akathesia

Correct answer: 4. Akathesia

Explanation: D i.e. Akathisia